All of the following are features of MEN IIa, except-a) Pituitary tumorb) Pheochromocytomac) Medullary carcinoma thyroidd) Neuromas
1. ad
2. c
3. ac
4. ab

Correct answer: 1. ad